27 year old man oh his trip to Hawai consumes an exotic food for the first time . Just after consuming he developed intense pruritis, swelling of face & lips, shortness of breath, vomiting. What could be most likely diagnosis?
1. Steakhouse Syndrome
2. Angioneurotic edema
3. Anaphylaxis
4. Myocardial infarction

Correct answer: 3. Anaphylaxis

Explanation: The given clinical scenario is of Anaphylaxis Anaphylaxis Serious allergic reaction that is rapid in onset & may cause death. Itchy rash, throat or tongue swelling, shortness of breath, vomiting , light headedness, Symptoms typically developon over minutes to hours. Steakhouse syndrome Mass of food becomes stuck on the way to the stomach. It gets stuck in oesophagus Angioneurotic edema : A genetic form of angioedema ; Lack an inhibitor protein (called C1 esterase inhibitor) that normally prevents activation of a cascade of proteins leading to the swelling of angioedema. Patients can develop recurrent attacks of swollen tissues, pain in the abdomen, and laryngeal edema which can compromise breathing. Myocardial infarction(MI) Occurs when blood flow decreases or stops to a part of the heart, causing damage to the heart muscle. The most common symptom is chest pain or discomfort which may travel into the shoulder, arm, back, neck or jaw.